Rectal polyp most commonly presents as
1. Obstruction
2. Bleeding
3. Infection
4. Changes into malignancy

Correct answer: 2. Bleeding

Explanation: .LOWER GI BLEED- * Bleeding in the GIT below the level of the ligament of Treitz. * Normal faecal blood loss is 1.2 ml/day. A loss more than 10 ml/day is significant.* Angiodysplasia. * Diverticular disease - commonest cause in Western countries. * Tumours of colon or small bowel. * Anorectal diseases--Haemorrhoids, fissure in ano. * Ulcerative colitis * Crohn's disease. * Colorectal polyps; rectal carcinomas. * Intussusception ref:SRB's manual of surgery,ed 3,pg no 925.